A 40 yr old patient with a single kidney presents with a solitary exophytic mass of 4 cm localized at its lower pole. Which amongst the following is the best recommended management option:
1. Radical nephrectomy
2. Radical nephrectomy with dialysis
3. Radical nephrectomy with renal transplantation
4. Partial nephrectomy

Correct answer: 4. Partial nephrectomy

Explanation: Ans is 'd' i.e. Partial nephrectomy Partial nephrectomy is the preferred surgical approach for a small ( Partial nephrectomy should be considered in the following clinical situations: Renal masses less than 4cm (T1) Localized mass in a patient with a single kidney or with compromised renal function. Synchronous bilateral renal tumors Patients with Von-Hippel-Lindau syndrome as they are at high risk of renal cancer in the contralateral kidney